Causes of hydramnios :
1. Anencephaly
2. Oesophageal atresia
3. Twins
4. All

Correct answer: 4. All

Explanation: Ans. is a, b and c i.e. Anencephaly; Oesophageal atresia; and Twins